Burn by moist heat is known as:
1. Ordinary burn
2. Scar burn
3. Scalds burn
4. Hot burn

Correct answer: 3. Scalds burn

Explanation: Burns may be classified as:

Ordinary burns caused by dry heat.
Scalds caused by moist heat.
Chemical burns caused by strong acid or base.
Electric burns.
Radiation bums.
Cold burns.